Leishmaniasis is caused by
1. Protozoa
2. Bacteria
3. Virus
4. Prions

Correct answer: 1. Protozoa

Explanation: Ans) a (Protozoa) Ref park 20th edpg 267These type of questions are zero value questions and will gain importance once you make it wrong!!!!!Leishmaniasis are a group of protozoal disease caused by parasites of the genus Leishmania,and transmitted to man by the bite of female phlebotomine sandfly. No further explanation is needed.